Type of necrosis seen in MI is -
1. Liquifactive necrosis
2. Fat necrosis
3. Caseous necrosis
4. Coagulative necrosis

Correct answer: 4. Coagulative necrosis

Explanation: Coagulative necrosis is most frequently caused by sudden cessation of blood flow (ischemia) in organs such as the heart (MI), Kidney (ATN), adrenal gland, and spleen.

Note: Brain is the only exception, i.e., It is the only solid organ in which ischemia leads to liquefactive necrosis, not coagulative necrosis.